Anti Spasmodic effect is seen with -
1. Neostigmine
2. Propantheline
3. Nikethamide
4. Ambenonium

Correct answer: 2. Propantheline

Explanation: Ans. is 'b' i.e., Propantheline Antispasmodic drugs i) Quaternary compounds - Propantheline, Oxyphenonium, Clidinium, Pipenzolate, Methylbromide, Isopropamide, Glycopyrrolate. ii) Tertiary amines - Dicyclomine, Valethamate, Pirenzepine. iii) Vasoselective antispasmodic (drugs acting on urinary bladder) - Oxybutynin, Tolterodine, flavoxate. iv) Drotaverine Note? All above drugs are anticholinergic except drotaverine. Drotaverine is a non-anticholinergic smooth muscle antispasmodic which acts by inhibiting phosphodiesterase - 4 (PDE-4) selective for smooth muscle. Elevation of intracellular cAMP/cGMP causes smooth muscle relaxation. It is used in intestinal, biliary and renal causes, uterine spasm, irratable bowel syndrome.